Root crown ratio of permanent teeth is about
1. 2:01
2. 1:02
3. 4:01
4. 1:04

Correct answer: 1. 2:01